Tri Fascicular block is:
1. Left Anterior hemi block (LAH) and left posterior hemi block (LPH)
2. RBBB + LAH
3. RBBB + PAH
4. None of the above

Correct answer: 4. None of the above

Explanation: Ans. D. None of the Above1. Bifascicular block is the combination of RBBB and left bundle hemiblock Either left anterior fascicular block or left posterior fascicular block2. Trifascicular block include:a. Prolongation of the PR interval (first degree AV block)b. Right Bundle Branch Blockc. Either left anterior fascicular block (LAB) or left posterior fascicular block (LPB)